Tolerance develops to following actions of Morphine except
1. Euphoria
2. Miosis
3. Nausea and vomiting
4. Analgesia

Correct answer: 2. Miosis

Explanation: "Tolerance develops to almost all actions of morphine except the constipation and miotic action".